All of the following are true regarding G6PD deficiency except:
1. A recessive X-linked trait
2. Females are commonly affected
3. Oxidative stress causes hemolysis
4. Protective against plasmodium falciparum malaria

Correct answer: 2. Females are commonly affected

Explanation: Ans. B: Females are commonly affected G6PD deficiency is a recessive X-linked trait, placing males at higher risk for symptomatic disease. It is most common in Black patients or African descent (Class III). It has a protective effect against plasmodium falciparum malaria. Pathophysiology Glucose-6-phosphate dehydrogenase (G6PD) - Catalyzes NADP to NADPH (pentose phosphate path) - NADPH prevents oxidative damage to cells - RBCs depend on G6PD for sole pathway to NADPH - RBCs are most susceptible to insufficient G6PD Oxidative stress results in acute Hemolytic Anemia Drug-induced Hemolysis affects older cells -Younger cells have adequate enzyme levels to survive G6PD mutations occur on distal long arm of C chromosome Causes Medications in G6PD Deficiency-Onset within 72 hours of intake - Chloroquine and primaquine - Sulfonamides - Nitrofurantoins Infection (most common cause) - Salmonella - Eschirichia coli - Beta-hemolytic Streptococcus